Gonococcus ferments
1. Glucose
2. Maltose
3. Sucrose
4. Fructose

Correct answer: 1. Glucose

Explanation: Gonococci resembles meningococci except that gonococci acidify only glucose, not maltose, but meningococci acidify both glucose and maltose. Reference: Textbook of Microbiology; Anathanarayan and panicker's; 10th edition; Page no: 234